Sodium lauryi sulphate used in the toothpaste is
1. Humectant
2. Abrasive
3. Flavouring agent
4. Surfactant

Correct answer: 4. Surfactant